All of these are criteria for severe acute malnutrition in a 6-month-old child except:
1. Mid-upper arm circumference
2. Symmetrical edema
3. Weight for height
4. Height for age

Correct answer: 4. Height for age

Explanation: Ans: D. Height for ageHeight for age is not a criterion for severe acute malnutrition in a 6-month old child.Severe acute malnutrition (SAM):]Among children 6-59 months of age is defined by World Health Organization (WHO) and UNICEF as any of the following:Weight-for-height below -3 standard deviation (SD or Z scores) of the median WI-10 growth referenceVisible severe wastingePresence of bipedal edemaMid-upper arm circumference below 11.5 cmThis classification is used to identify children at high risk of death.